In CRP, the C stands for
1. Canavallin A
2. Cellular
3. Chondoitin sulfate
4. C polysaccharide of streptococcus

Correct answer: 4. C polysaccharide of streptococcus

Explanation: C-reactive protein (CRP) was originally identified as binding to the phosphocholine attachment site of capsular polysaccharide (C-polysaccharide) from Streptococcus pneumoniae